The most important physical sign for the diagnosis of anterior instability of the glenohumeral joint is a positive:
1. Apprehension sign
2. Impingement sign
3. Resisted straight arm raising sign
4. Resisted forearm supination sign

Correct answer: 1. Apprehension sign

Explanation: Ans. A. Apprehension signClassically, a patient with recurrent anterior instability or subluxation exhibits marked apprehension when the relaxed shoulder is stressed in abduction and external rotation. The impingement sign and the drop arm sign indicate disease of the rotator cuff. A positive resisted straight arm raising test (Speed's test) and a positive resisted forearm supination test (Yergason's sign) suggest pathology in the biceps tendon.